A 3 yrs old child is brought to the emergency room by his parents after they found him having a generalized seizure at home. The child's breath smells of garlic, and he has bloody diarrhea, vomiting, and muscle twitching. Which poison is it likely that this child has encountered?
1. Thallium
2. Lead
3. Arsenic
4. Carbon monoxide

Correct answer: 3. Arsenic

Explanation: Acute arsenic poisoning from ingestion results in increased permeability of small blood vessels and inflammation and necrosis of the intestinal mucosa; these changes manifest as hemorrhagic gastroenteritis, fluid loss, and hypotension. Symptoms include nausea, vomiting, diarrhea, abdominal pain, delirium, coma, and seizures. A garlicky odor may be detectable on the breath. Arsenic is found in herbal and homeopathic remedies, insecticides, rodenticides, and wood preservatives, and it has a variety of other industrial applications.